Phoria is a type of
1. Apparent squint
2. Manifest squint
3. Latent squint
4. Pseudo squint

Correct answer: 3. Latent squint

Explanation: Phoria are type of latent squint Types of Phoria Esophoria Exophoria Hyperphoria Hypophoria They are seen in times of stress when the fusional amplitudes are insufficient to maintain alignment Cover uncover test is done to diagnose it